Medical certificate is -
1. Documentary evidence
2. Oral evidence
3. Hearsay evidence
4. Parole

Correct answer: 1. Documentary evidence

Explanation: Medical certificate is the simplest type of written/documentary evidence.